The following statement about Gomez classification is false –
1. Based on height retardation
2. Based on 50th centile Boston standards
3. Between 75 and 89% implies mild malnutrition
4. This classification has prognostic value for hospitalization of children

Correct answer: 1. Based on height retardation